Which glycosaminoglycan is present in cornea ?
1. Dermatan sulfate
2. Chondroitin Sulfate
3. Hyaluronic acid
4. Keratan Sulfate

Correct answer: 4. Keratan Sulfate

Explanation: option d : Keratan sulafte Glycosaminoglycan in cornea: Keratan sulafte (KS) >>> Chondroitin sulfate (CS) & Dermatan sulfate (DS) All are present in cornea but KS is in maximum amount Immunohistochemistry revealed the presence of both high- and low-sulphated epitopes of KS, as well as DS, throughout the cornea CS only in the peripheral cornea before the limbus. Keratan sulfate is also responsible for corneal transparency. Keratan Sulfate-I is present in cornea while Keratan Sulfate-II is present in cartilages.